Second generation cephalosporin that can be used orally is :
1. Cefepime
2. Cefalothin
3. Cefaclor
4. Cefadroxil

Correct answer: 3. Cefaclor